Which of the following is false regarding suspended animation
1. Can be produced voluntarily
2. Patient can be resuscitated
3. It is state of apparent death
4. It usually lasts for 6 hours

Correct answer: 4. It usually lasts for 6 hours

Explanation: Suspended animation is a state of apparent death in which signs of life are not found as functions of life are interrupted or reduced to minimum for some time.
Resuscitation is possible. It can be voluntarily produced in yogis. 
Involuntarily it is seen in newborns, electrocution, cholera, shock, etc. It lasts for few seconds to half an hour or more. 
It can be revived by cardiac massage or electric stimulator and artificial respiration